Lipogenesis in liver is stimulated by
1. Glucagon
2. Insulin
3. Thyroxine
4. Epinephrine

Correct answer: 2. Insulin

Explanation: Insulin